Hypocalcemia is characterized by all of the following features except -
1. Numbness and tingling of circumoral region
2. Hyperactivity tendon reflexes
3. Shortening of Q-T interval in ECG
4. Carpopedal spasm

Correct answer: 3. Shortening of Q-T interval in ECG